Positive predictive value of a screening test is measured by-
1. True positive x 100 (True positive + False positive)
2. True negative x 100 (false positive + false negative)
3. True positive x 100\/ (True positive + False negative)
4. True negative x 100 (True positive + False negative

Correct answer: 1. True positive x 100 (True positive + False positive)